Salivary gland stone is formed most commonly in:
1. Submandibular gland
2. Mandibular gland
3. Sublingual gland
4. Parotid gland

Correct answer: 1. Submandibular gland

Explanation: Ans. (a) Submandibular glandRef : Bailey and Love 26th ed. ch. 50 / 732* Salivary gland stone (sialolithiasis) is due to duct obstruction, which further lead to calcification.* This calcification further causes secondary bacterial invasion which leads to->SIALADENITIS* MOST COMMON organism associated with sialadenitis: Staph. Aureus and Strep. Viridans* Most common salivary gland associated with sialolithiasis: submandibular gland(80 %) > Parotid gland (20%)* A stone located in the collecting duct or within the gland may be managed by either endoscopic retrieval, lithotripsy or, least likely, surgical removal.* Sialography is usually required to identify the stone.* Parotid duct stones are usually radiolucent and rarely visible on plain radiography. They are frequently located at the confluence of the collecting ducts or located in the distal aspect of the parotid duct adjacent to the parotid papilla.